Major neurotransmitter in afferents in nucleus tractus solitarius to regulate cardiovascular system -
1. Serotoxin
2. Glutamate
3. Glycine
4. Norepinephrine

Correct answer: 2. Glutamate

Explanation: Ans. is 'b' i.e., Glutamate o Nucleus tractus solitarius (NTS) lies in medulla.o It receives following afferents :-General visceral afferentsFrom tonsil, pharynx, posterior part of tongue, carotid body and sinus - through glossopharyngeal nerve:From pharynx, larynx, trachea, esophagus, and other thoracic and abdominal viscera -through vagus nerve.Special visceral afferentsFrom anterior 2/3 of tongue (except circumvallate papillae) and palate - through facial nerveFrom posterior 1/3 of tongue (including circumvallate papillae) - through glossopharyngeal nerve.From posterior most part of tongue and epiglottis - through vagus nerve.o NTS is involved in regulation of cardiovascular system through baroreceptors and chemoreceptors.o There is a general consensus that glutamate is the neurotransmitter released at the therminals of baroreceptor and chemoreceptor afferents in NTS. -- www.springer.como However, cholinergic, GABAergic, and opioidergic mechanisms are also present in NTS.